Urea cycle occurs in
1. Liver
2. Gastrointestinal tract
3. Spleen
4. Kidney

Correct answer: 1. Liver

Explanation: Inside the cells of almost all tissues,transamination of amino acids produce glutamic acid. How ever , Glutamate dehydrogenase is available only in liver. Therefore ,the final deamination and production of ammonia is taking place in Liver.Which further enters Urea cycle.Ref: DM Vasudevan - Textbook of Biochemistry, 7th edition, page no: 203